Folding protein area) GLUT-1b) Calnexinc) Cytochrome 450d) Insulin receptore) Protein disulfide isomerase
1. ab
2. ad
3. bc
4. be

Correct answer: 4. be

Explanation: Some Chaperones and Enzymes Involved in Folding that is Located in the Rough Endoplasmic Reticulum

BiP (immunoglobulin heavy chain binding protein)
GRP94 (glucose-regulated protein)
Calnexin
Calreticulin
PDI (protein disulfide isomerase)
PPI (peptidyl prolyl cis-trans isomerase)